Familial retinoblastoma –a) Has autosomal recessive inheritanceb) More commonly bilateralc) Due to mutationd) More common than sporadic retinoblastomae) Poorer prognosis than sporadic type
1. ab
2. bce
3. acd
4. ace

Correct answer: 2. bce

Explanation: Hereditary retinoblastoma is less common than sporadic retinoblastoma and is inherited as autosomal dominant pattern.
All bilateral retinoblastoma are hereditary.
Hereditary retinoblastoma is due to inactivation of RB gene by two mutations.
Hereditary retinoblastoma patients may develop additional tumors in the pineal suprasellar or fourth ventricle region, and have a poor prognosis.